Brown's tube is used for:
1. Steam sterilization
2. Radiation
3. Chemical sterilization
4. Filtration

Correct answer: 1. Steam sterilization

Explanation: Ans. is. 'a' i. e., Steam sterilization